Maternal mortality refers to maternal deaths from causes related to or aggravated by pregnancy and its management during –
1. Pregnancy, child birth or first seven days after delivery
2. Child birth or first fourteen days after delivery
3. First 28 days after delivery
4. Pregnancy, child birth or first 42 days after delivery

Correct answer: 4. Pregnancy, child birth or first 42 days after delivery